The joint cavity can be examined in detail with out much surgical exposure by
1. Sialography
2. Arthroscopy
3. Biopsy
4. Endoscopy

Correct answer: 2. Arthroscopy